Complement proteins constitute what percentage of serum proteins ?
1. <1
2. 5-Jan
3. 5-10%
4. >10%

Correct answer: 3. 5-10%

Explanation: Answer- C. 5-10%The complement system consists of alarge number of proteins that together constitute about 10% of the total circulating serum protein.